Cerebral angiography was performed by:
1. Sir Walter Dandy
2. George Moore
3. Seldinger
4. Egas Moniz

Correct answer: 4. Egas Moniz

Explanation: Answer is D (Egas Moniz): Egas Moniz first performed cerebral Angiography in 1927. Antonio Egas Moniz, a Pouguese neurologist, first performed cerebral Angiography. He received the Nobel Prize for developing for developing frontal leucotomy as a treatment for psychiatric diseases. In 1927 he performed the first cerebral angiogram in a living human assisted y his colleagues Almeida Lima and Almeida Dias.